Which of the following drugs is preferred for management of depression associated with insomnia?
1. Mirtazapine
2. Venlafaxine
3. Sertraline
4. Desipramine

Correct answer: 1. Mirtazapine

Explanation: In a depressed patient with significant insomnia, mirtazapine appears to be the most effective therapy. Mirtazapine is Atypical antidepressant MOA: Blocks a2 auto-( on NA neurons) and hetero (on 5-HT neurons) receptors enhancing both NA and 5-HT release. SSRIs commonly cause insomnia and avoided in patients with significant insomnia.